Local cerebral lesion with ring on CT scan is caused by:
1. Toxoplasmosis
2. Intracranial haemorrhage
3. Cysts
4. Hamartoma

Correct answer: 1. Toxoplasmosis

Explanation: A i.e. Toxoplasmosis Conditions causing ring-enhancement with CT (contrast) - ToxoplasmosisQ - Cysticercosis - TuberculomaQ - Pyogenic abscess - Glioma metastasis - Craniopharyngeoma - Gaint aneurysm